Formication and delusion of persecution, both are together seen in -
1. LSD psychosis
2. Amphetamine psychosis
3. Cocaine psychosis
4. Cannabis psychosis

Correct answer: 3. Cocaine psychosis

Explanation: cocaine causes * Psychosis * Auditory or visual hallucinations * Altered tactile sensation: the person feel that some small insects are crawling on his skin. This is known as Magnan's symptom or cocaine bugs (formication). REF;THE SYNOPSIS OF FORENSIC MEDICINE:KS NARAYANA REDDY;28th EDITION;PAGE NO 347